With reference to varicocele, which one of the following is not true of it?
1. Left side is usually affected
2. Varicosities of cremastric veins
3. Feels like a bag of worms
4. May lead to infertility

Correct answer: 2. Varicosities of cremastric veins

Explanation: VARICOCELE:- Dilatation and tortuosity of the pampiniform plexus and so also the testicular veins. Common in tall thin young men. More common on the left side, but often can be bilateral. Etiology:- 1. Absence or incompetent valve at the junction of the left testicular vein and left renal vein causing inefficient drainage of blood.2. Perpendicular entry of the left testicular vein into the left renal vein.3. Idiopathic In left-sided renal cell carcinoma, tumor proliferates into left renal vein and blocks the entry of left testicular vein causing varicocele on left side which is irreducible. Varicocele causes increased the temperature in the scrotum which depresses the spermatogenesis and so causes infertility. Types- primary and secondary. Clinical features:-1. Swelling in the root of the scrotum.2. Dragging pain in the groin and scrotum3. Bag of worms feeling4. Impulse on coughing5. On lying down, it gets reduced.